Which of the following statements is true about the iliopubic tract ?
1. It is a thickening of the lumbar fascia
2. It lies anterior to the poupart's ligament
3. It inserts into the pubic tubercle in front of the conjoint tendon
4. Its fibers fan out with fascia iliaca laterally

Correct answer: 4. Its fibers fan out with fascia iliaca laterally

Explanation: The iliopubic tract fan out with fascia laterally. The iliopubic tract is a thickening of the transversalis fascia lying immediately posterior to the inguinal (poupa's ) ligament. It goes from the anteior superior iliac spine (ASIS) superolaterally and arches across the front of the femoral sheath. Attachments : Medially, its fibers insert by a broad attachment into the pubic tubercle and pectineal line, behind the conjoint tendon. Laterally, its fibers fan out within the fascia transversalis and fascia iliaca without bony attachement to the iliac spines. Ref: Gray's Anatomy 41st edition Pgno: 1069